Topical Antifungal agent in candidiasis is
1. Clotrimazole
2. Clotrimoxazole
3. Ornidazole
4. Propranolol

Correct answer: 1. Clotrimazole